Smallest fetal diameter is :
1. Biparietal
2. Bitemporal
3. Submentobregmatic
4. Occipito frontal

Correct answer: 2. Bitemporal

Explanation: Bitemporal